Treatment of acute asthma include all except-
1. Prednisolone
2. Salbutamol
3. Salmeterol
4. Ipratropium bromide

Correct answer: 3. Salmeterol

Explanation: Ans. is 'c' i.e., Salmeterol o Long acting Beta - 2 agonists have no role in acute attack of asthma. They are useful in persistent asthma.